Mechanism of action of 5–FU is :
1. Antimetabolite
2. Direct DNA chelating agent
3. Anti-Mitotic
4. Topoisomerase inhibitor

Correct answer: 1. Antimetabolite